Glycerol test is done in -
1. Otosclerosis
2. Lateral sinus thrombosis
3. Meniere's disease
4. None of the above

Correct answer: 3. Meniere's disease

Explanation: Glycerol is a dehydrating agent. When given orally, it reduces endolymph pressure and causes improvement in hearing as evidenced by an improvement of 10 dB or 10% gain in discrimination score in Meniere’s disease patients.